Cremasteric artery is a branch of
1. Internal pudendal artery
2. External pudendal artery
3. Inferior epigastric artery
4. Superior epigastric artery

Correct answer: 3. Inferior epigastric artery

Explanation: The inferior epigastric artery - It arises from the external iliac artery near its lower end just above the inguinal ligament. It runs upwards and medially in the extraperitoneal connective tissue, passes just medial to the deep inguinal ring, pierces the fascial transversalis at the lateral border of the rectus abdominis and enters the rectus sheath by passing in front of the arcuate line .Within the sheath it supplies the rectus muscle and ends by anastomosing with the superior epigastric artery. branches of inferior epigastric artery - (a) A cremasteric branch - To the spermatic cord, or the artery of the round ligament in females; (b) A pubic branch - Which anastomoses with the pubic branch of the obturator artery; (c) muscuiarbranches - To the rectus abdominis , and (d) cutaneous branches - To the overlying skin. Ref : B D Chaurasia's Human Anatomy , seventh edition, volume 2 , pg. no. 229